A 60-year-old man presents with dizziness, nausea and severe shortness of breath of several months' duration. Physical examination shows hepatomegaly, ascites and anasarca. His blood pressure is 200/115 mm Hg. An X-ray film of the chest demonstrates cardiomegaly and mild pulmonary edema. Although different mechanisms may have contributed to the pathogenesis of hypertension in this patient, the common end result for all of them is which of the following?
1. Arterial cystic medial necrosis
2. Decreased plasma oncotic pressure
3. Generalized vasodilation
4. Increased peripheral vascular resistance

Correct answer: 4. Increased peripheral vascular resistance

Explanation: In patients with systemic hypertension, the end result of autoregulation is always increased peripheral resistance. Most cases of hypertension represent an imbalance between renal function and sodium homeostasis. In this context, the renin-angiotensin system increases blood pressure, whereas this axis is antagonized by atrial natriuretic factor. Cystic medial necrosis is a factor in aortic dissecting aneurysm. Vasodilation decreases blood pressure. Decreased plasma oncotic pressure may be a consequence of uncontrolled hypertension, but does not cause it.